Phalen's test is used in which of the following condition ?
1. De quervain tenosynovitis
2. Carpal tunnel syndrome
3. Trigger finger
4. Ulnar nerve injury

Correct answer: 2. Carpal tunnel syndrome

Explanation: Phalen's test / wrist flexion : done in carpal tunnel syndrome - the patient is asked to actively place the wrist in complete but unforced flexion . If tingling sensation& numbness is produced in the median nerve distribution of the hand within 60 sec, the test is positive .It is most sensitive provocative test. Has a specificity of 80%. REF:textbook of orthopedics, John Ebenezer , 4th edition, pg.no 394